Triamterene causes :
1. Hypokalemia
2. Muscle cramps
3. Decrease in urea level
4. Better glucose tolerance

Correct answer: 2. Muscle cramps